All of the following are synonymous codon pair EXCEPT
1. CAU & CAC
2. AUU & AUC
3. AUG & AUA
4. AAU & AAC

Correct answer: 3. AUG & AUA

Explanation: Synonymous codons Codons that specify the same amino acids. E.g- GGA, GGG, GGU, and GGC codes for glycine Methionine is coded by AUG only. So, there is no synonymous codon for methionine.